Pharmacodynamics include
1. Drug elimination
2. Drug excretion
3. Drug absorption
4. Mechanism of action

Correct answer: 4. Mechanism of action

Explanation: Pharmacodynamics- the study of drug actions in the body and mechanism of action drug actions- therapeutic effects and adverse effects pharmacokinetics- ADME- absorption, distribution, metabolism and excretion ref KD Tripathi 8th ed